Factors which decrease the cement space for a complete crown would be
1. Thermal and polymerization shrinkage of the impression material
2. Use of a solid cast with individual stone dies
3. Use of an internal layer of soft wax
4. Use of resin or electroplated dies

Correct answer: 4. Use of resin or electroplated dies